If the head of the snake has small scales covering the whole surface of the head it indicates
1. Viper
2. Cobra
3. Krait
4. Non venomous

Correct answer: 1. Viper

Explanation: All poisonous snakes have small head scales except cobra, krait & pit viper. These three snakes can be identified by 1. Pit viper: pit below the eye 2. Cobra: 3rd labial touches eye and nasal shields 3. Krait: 4 infralabial scales below mouth & 4th being largest Russel viper